Hailey Hailey disease is characterized by defect in
1. ATP2C1
2. ATP2A2
3. ATP2C2
4. ATP2A1

Correct answer: 1. ATP2C1

Explanation: Hailey Hailey disease : ATP2C1 gene defect
Darier's disease : ATP2A2 gene defect